Succinyl CoA is formed by?
1. Valine
2. Isoleucine
3. Methionine
4. All of the above

Correct answer: 4. All of the above

Explanation: Ans. (d) All of the aboveRef Lippincott 4/e, / 261